Sperms are released during ejaculation from:
1. Seminal vesicles
2. Epididymis
3. Testes
4. Prostate

Correct answer: 2. Epididymis

Explanation: (33) Epididymis REF: Gray's anatomy, 39' edition, page 1309, Repeat in December 2011 Sperms are formed in seminiferous tubules and stored in epididymis till ejaculation. The sequence of sperm movement from within the testis to urethra is as follows Seminiferous tubules -Straight tubule- Rete testis - Efferent tubule -Epididymis - Vas deferens - Ejaculatory ducts - Urethra